Most common neuroendocrine tumour in MEN 1 is
1. Insulinoma
2. Glucaganoma
3. Gastrinoma
4. VIPoma

Correct answer: 3. Gastrinoma

Explanation: Most common neuroendocrine tumor of MEN1 is Gastrinoma where there is over production of Gastrin. MEN1 associated gastrinomas are frequently multifocal whereas sporadic ones are single. Ref: Robbins and cotrans 9e Pg 1122 A gastrinoma is a tumor in the pancreas or duodenum that secretes excess of gastrin leading to ulceration in the duodenum, stomach and the small intestine. There is hypersecretion of HCl acid into the duodenum, which causes the ulcers